Following is given with iron to increase its absorption -
1. Milk
2. Antacids
3. Citrus fruits
4. Alkalies

Correct answer: 3. Citrus fruits

Explanation: Ans. is 'c' i.e., Citrus fruitso Citrus fruits are good sources of vitamin C (ascorbic acid) which increases intestinal absorption of iron.Factors affecting iron absorptionA. Decreasing absorption# By complexing (forming chelate) with irono Phytateso Milko Tetracyclineo Phosphateso EDTA # By opposing reduction of ferric form to ferrous form.o Pancreatic secretionso Antacidso AlkaliesB. Increasing absorption# By enhancing reduction of ferric form to ferrous form.o Ascorbic acido Citric acido HC1o Gastric secretion